Which of the following infects hair, skin and nails-
1. Trichosporum
2. Trichophyton
3. Microsporum
4. Epidermophyton

Correct answer: 2. Trichophyton

Explanation: Ans. is 'b' i.e., Trichophyton